Thyroid Ca causes laryngeal paralysis due to
1. Recurrent laryngeal nerve palsy
2. Vagus nerve palsy
3. Glossopharyngeal nerve palsy
4. Hypoglossal nerve palsy

Correct answer: 1. Recurrent laryngeal nerve palsy

Explanation: The nerves found in close relationship to the thyroid gland and therefore likely to be involved in the malignant spread and thyroid surgery are recurrent laryngeal nerve and the superior laryngeal nerve. Ref : Schwartz Surgery 9/e p1346